Malgaigne feature is
1. Shoulder fracture
2. Pelvis fracture
3. Spine fracture
4. Scapular fracture

Correct answer: 2. Pelvis fracture